The antidepressant which selectively blocks 5-hydroxytryptamine uptake is
1. Fluoxetine
2. Desipramine
3. Amoxapine
4. Dothiepin

Correct answer: 1. Fluoxetine

Explanation: SELECTIVE SEROTONIN REUPTAKE INHIBITORS (SSRIs) Fluoxetine:- A bicyclic compound, is the first SSRI to be introduced, and the longest acting. Its plasma t 1/2 is 2 days and that of its active demethylated metabolite is 7-10 days. It has been approved for use in children 7 years or older for depression and OCD on the basis of similar efficacy and side effect profile as in adults, but should be given to children only when psychotherapy fails. Agitation and dermatological reactions are more frequent than other SSRIs. Because of slower onset of antidepressant effect, it is considered less suitable for patients needing rapid effect, but is more appropriate for poorly compliant patients. Its stimulant effect could worsen patients showing agitation. Ref:- kd tripathi; pg num:-461